A patient with abdominal pain diarrhea and weight loss. He gives a history of taking treatment for pulmonary TB. What does the barium film of the patient show?
1. Saw tooth
2. Intestinal perforation
3. Pulled up cecum
4. Diverticulum formation

Correct answer: 3. Pulled up cecum

Explanation: Ans. C. Pulled up cecumA barium follows=through examination shows absent filling of the lower ileum, caecum and the ascending colon as a result of narrowing of the ulcerated segment.